Red infarction is seen in -
1. Kidney
2. Brain
3. Small instestine
4. Heart

Correct answer: 3. Small instestine

Explanation: Ans. is 'c' i.e., Small intestine